Blood supply of liver-
1. 80% hepatic artery, 20% portal vein
2. 20% hepatic artery, 80% portal vein
3. 50% hepatic artery, 50% portal vein
4. 100% hepatic artery

Correct answer: 2. 20% hepatic artery, 80% portal vein

Explanation: The liver has dual blood supply :-


20% of blood supply is through the hepatic artery.
80% of blood supply is through the portal vein.